Regarding Proteus, which is true?
1. Musty odour
2. Most common infection caused is respiratory tract infection
3. PPA test positive
4. Esthiomene is a complication in females

Correct answer: 3. PPA test positive

Explanation: Proteus shows PPA test positive. Proteus: Odor: Putrid 'fishy' or 'seminal' odour. Most common clinical manifestation-UTI (Urinary tract infection). Phenylalanine Deaminase test/ phenylpyruvic acid (PPA test): Tests the ability of an organism to produce enzyme deaminase. PPA test +ve - converts phenylalanine to phenylpyruvic acid. Used to differentiate Proteus, Morganella and Providencia (Positive) from other members of Enterobacteriaceae (PPA negative). Esthiomene is a genital elephantiasis- seen in Lymphogranuloma venereumcaused by Chlamydia trachomatis serovars L1, L2, or L3.